True about Rotameter:
1. Rotameter reading may not get affected by di inside the tube
2. Rotameter reading may not get affected by static electricity
3. The height to which bobbin rises indicates the flow rate
4. A rotameter is a variable pressure flowmeter

Correct answer: 3. The height to which bobbin rises indicates the flow rate

Explanation: C i.e. The height to which bobbin rises indicates the flow rate